Most common cause and the most common valve affected in Infective endocarditis in I.V drug abusers
1. Streptococcus viridans—tricuspid valve
2. Pseudomonas—mitral valve
3. Staphylococcus aureus—tricuspid valve
4. Streptococcus bovis—mitral valve

Correct answer: 3. Staphylococcus aureus—tricuspid valve

Explanation: In I.V drug abusers it is staph.aureus to cause Infective endocarditis most commonly and the right sided valves are more commonly affected than the left sided valves